Which of the following complication is not seen with peritonitis
1. Cardiac failure
2. Residual abscess
3. Endoxic shock
4. Bone marrow suppression

Correct answer: 1. Cardiac failure

Explanation: Systemic complications of peritonitis-Bacteraemic/endotoxic shock,Bronchopneumonia,respiratory failure,Renal failure,Bone marrow suppression,MODS(multiorgan dysfunction syndrome).Abdominal complications include Adhesional small bowel obstruction,Paralytic ileus,Residual/recurrent abscess,Portal pyaemia and liver abscess. Reference:Bailey & Love's short practise of surgery,25th edition,page no:995,996.